All known effects of cyclic AMP in eukaryotic cells results from:
1. Activation of the catalytic unit of adenylate cyclase
2. Activation of synthetase
3. Activation of protein kinase
4. Phosphorylation of G protein

Correct answer: 3. Activation of protein kinase

Explanation: Cyclic AMP exerts most of its effects by stimulating cAMP-dependent protein kinases. These phosphorylate enzymes resulting in their activation or inhibition.